Following is not present in dhatura:
1. Hyoscine
2. Hyoscyamine
3. Muscarine
4. Atropine

Correct answer: 3. Muscarine

Explanation: Ans. Muscarine